True about ZES (gastrinoma) -
1. Gastrin levels > 1000 pg/mL
2. BAO (Basal acid output) > 15 meq/hr
3. Somatostatin is inhibitor of HCL secretion
4. All

Correct answer: 4. All

Explanation: Answer is 'a' i.e. Gastrin levels > 1000 pg/mL ; 'b' i.e. BAO (Basal acid output) > 15 meq/hr ; 'c' i.e. Somatostatin is inhibitor of HCL secretion Somatostatin is a potent inhibitor of many processes including release of almost all hormones, acid secretion, intestinal and pancreatic secretions and intestinal absorption.